Which one of the following is known as dangerous zone of eye:
1. Sclera
2. Retina
3. Optic nerve
4. Ciliary body

Correct answer: 4. Ciliary body

Explanation: Ans. D i.e. Ciliary body